Amide group containing amino acid is:
1. Asparate
2. Glutamine
3. Glutamate
4. Glutamic acid

Correct answer: 2. Glutamine

Explanation: Amide (-CONH) group is present in:- Asparagine Glutamine Asparagine is the amide of Aspartate Glutamine is the amide of Glutamate